Which of the following drug can be used in both HIV and Hepatitis B virus?
1. Enfuvirtide
2. Emtricitabine
3. Abacavir
4. Acyclovir

Correct answer: 2. Emtricitabine

Explanation: Emtricitabine is a NRTI which has dual action on HIV and Hepatitis B virus.